All the following drugs reduced the gastric acid secretion EXCEPT
1. Ranitidine
2. Sucralfate
3. Misoprostal
4. Pantoprazole

Correct answer: 2. Sucralfate